Opisthorchis sinensis can cause:
1. Cholangiocarcinoma
2. Liver carcinoma
3. Pancreatic carcinoma
4. All of the above

Correct answer: 1. Cholangiocarcinoma

Explanation: Ans. a. Cholangiocarcinoma